All are false statements regarding atherosclerotic plaque formation except ?
1. Acute inflammatory disease of the vascularintima
2. Characteristic feature is accumulation of cholesterol esters on the luminal surface of the endothelium
3. Macrophages bind and phagocytose oxidized LDL to form foamcells
4. Tend to form away from branchpoints

Correct answer: 3. Macrophages bind and phagocytose oxidized LDL to form foamcells

Explanation: Atherosclerotic plaque Subintimal collections of fat, smooth muscle cells, fibroblasts. Tends to develop at branching sites due to turbulence flow in epicardial vessels Characteristic -Grow into intima and media of epicardial coronary vessels and don't encroach lumen initially Mycotic aneurysm usually develops at site of an atherosclerotic plaque.